True about Bell's palsy -
1. Spontaneous recovery
2. Steroid contraindicated
3. 25% have resolved
4. Antibiotics mainstay of treatment

Correct answer: 1. Spontaneous recovery

Explanation: Majority of patients with Bell's palsy recover completely.
Steroids are the mainstay of treatment.